Sweating is mediated by which innervation-
1. Adrenergic sympathetic
2. Adrenergic parasympathetic
3. Cholinergic sympathetic
4. Cholinergic parasympathetic

Correct answer: 3. Cholinergic sympathetic

Explanation: Ans. is 'c' i.e., Cholinergic sympathetic* Sweating is under the control of sympathetic system. But the neurotransmitter is acetylcholine which acts on cholinergic sympathetic receptors.